Not true about aedes mosquitos -
1. Are recurrent day time biters
2. Eggs cannot survive more than 1 week without water
3. Transmits dengue fever
4. Prefer breeding in stagnant water

Correct answer: 2. Eggs cannot survive more than 1 week without water

Explanation: Even Under favorable conditions, the egg stage of mosquitoes lasts for only 1-2 days. Aedes are fearless biters and chiefly bite during the day, Aedes prefer an artificial collection of water. Transmits dengue, dengue haemorrhagic fever. REFERENCE: PARK'S TEXTBOOK OF PREVENTIVE AND SOCIAL MEDICINE, 25TH EDITION, PG NO. 831